Which of the following is NOT TRUE about meralgia paresthetica?
1. Meralgia paresthetica consists of pain, tingling & numbness with weakness in the lateral aspect of thigh
2. It occur as a result of entrapment of the nerve in the fascia just medial to ASIS
3. It can also occur during Pregnancy when it remits spontaneously after pregnancy is completed
4. Treatment include nonspecific, analgesic, local hydrocortisone etc. sometimes surgical decompression

Correct answer: 1. Meralgia paresthetica consists of pain, tingling & numbness with weakness in the lateral aspect of thigh

Explanation: Meralgia paresthetica consists of pain, tingling & numbness without weakness in the lateral aspect of thigh that is supplied by lateral cutaneous nerve of thigh Meralgia paresthetica consists of pain, tingling & numbness without weakness in the lateral aspect of thigh that is supplied by lateral cutaneous nerve of thigh It occur as a result of entrapment of the nerve in the fascia just medial to ASIS It can also occur during Pregnancy when it remits spontaneously after pregnancy is completed Treatment : Nonspecific, analgesic, local hydrocortisone etc. sometimes surgical decompression. Ref: Maheshwari's Orthopedics 3/e, P 259; Harrison 17/e, P 47( 16/e p 36)